Transport of two substances in the same direction is called as?
1. Symport
2. Antiport
3. Exocytosis
4. Pinocytosis

Correct answer: 1. Symport

Explanation: When the transported molecule and cotransported ion move in the same direction, the process is called Symport; when they move in opposite directions, the process is called Antiport